Cigar body is seen in -
1. Cryptococcus
2. Histoplasmosis
3. Sporotrichosis
4. Aspergillosis

Correct answer: 3. Sporotrichosis

Explanation: Cigar shaped yeast cells are seen in sporothrix schenkii which is a dimorphic fungus. at 37 degree C - it is yeast at 25 degree C - it is mold Flower like sporulation appearance is seen in mould form of the sporothrix Sporotrichosis ( Rose gardener's disease)